Diagnostic feature in rheumatic heart disease is :
1. Aschoff's nodule
2. Mc Callman patch
3. Adeno Carcinoma
4. Alveolar cell Carcinoma

Correct answer: 1. Aschoff's nodule

Explanation: Answer is A (Aschoff nodule) "Aschoffs body is pathognomic of Rheumatic fever" - Robbins Aschoff s bodies are focal inflammatory lesions, that may be found in any of the three layers of the heart Pericardium, Myocardium and Endocardium, during acute Rheumatic fever. Aschoff bodies consist of foci of swollen eosinophillic collagen surrounded by Lymphocytes (primarily T cells) Occasional plasma cells Aschoff giant cells (macrophages of rheumatic fever) Antitschkow cells (Antischkow cells are modified macrophages with abundant cytoplasm and central round to ovoid nuclei in which the chromatin is disposed in the central, slender wavy ribbon like pattern -- caterpillar cells)